The most important function of sentinel surveillance is
1. To find the total amount of disease in a population
2. To find the incidence of the disease
3. To determine the trend of disease in a population
4. A more costly phenomenon

Correct answer: 1. To find the total amount of disease in a population

Explanation: Sentinal surveillance It estimates disease prevalence in a population. It's a method for identifying the missing cases and thereby supplementing the notified cases. It provides more detailed information than that which could be obtained from the traditional notification system. Ref: Park's Textbook of Preventive and Social Medicine; 24th edition - Page no. 45